Insulin causes lipogenesis by all except ?
1. Increasing acetyl co A carboxylase activity
2. Increases the transport of glucose in to the cell
3. Inhibits PDH
4. Decreases intracellular cAMP level

Correct answer: 3. Inhibits PDH

Explanation: Insulin rather increases the activity of PDH. Insulin increases the activity of acetyl Co A carboxylase activity and thus has got stimulatory effect on lipogenesis.
Insulin increases the recruitment of GLUT to the surface of various cell and thus increases the uptake of insulin via various cells. Insulin has got inhibitory effect on adenylyl cyclase activity and so causes dephosphorylation.